The Final Evaluation of the root surface smoothness after root planning is done by?
1. Probe
2. Explorer
3. Scaler
4. Curettes

Correct answer: 2. Explorer